Gartner's duct is remnant of
1. Miillerian duct
2. Wolffian duct
3. Cloacal duct
4. Epoo phoron

Correct answer: 2. Wolffian duct